To reduce synechiae formation after nasal surgery which one of the following packing is most useful:
1. Mitomycin C
2. Ribbon gauze
3. Liquid paraffin
4. Steroids

Correct answer: 1. Mitomycin C

Explanation: (a) Mitomycin C(Ref. Scott Brown, 8th ed., Vol 2; 253)Mitomycin C is an antineoplastic agent with antifibroblastic activity. It is used to decrease the chances of adhesions and fibrosis following surgery.In ENT it is used in functional endoscopic sinus surgery (FESS) (as any adhesion between the middle meatus and lateral wall of nose will again block the drainage of sinuses), after correction of choanal atresia and laryngotracheal stenosis (as any fibrosis or adhesion of this area will lead to re stenosis leading to stridor).